Which of the following cements is most biocompatible with pulp?
1. GIC
2. Copper cement
3. Zinc phosphate cement
4. Zinc oxide eugenol cement

Correct answer: 4. Zinc oxide eugenol cement